Incidence of sterility is maximum in pelvic inflammatory disease caused by :
1. Staphylococci
2. Streptococci
3. Proteus vulgaris
4. Gonococci

Correct answer: 4. Gonococci

Explanation: Gonococci